A 24 year girl named Heena is often fla1mboyantly dressed and goes out on dates frequently. Although she changed boyfriend almost monthly, bat she used to plan her marriage and future with each of them with equal enthusiasm and optimism. She would often make stories to seek attention. She would feel uncomfortable at big parties leave them midway.Heena made promises to other people that were impossible to keep but seemed to be aimed at winningtheir approval; when she broke the promise, she usually made up a story designed to elicit sympathy and compassion. Diagnosis is
1. Borderline personality disorder
2. Histrionic personality disorder
3. Dependent personality disorder
4. Antisocial personality disorder

Correct answer: 2. Histrionic personality disorder

Explanation: * HISTIRIONIC * Theatrical behavior * Superficial charming * Life and soul of the party * Craving for attention, appreciation and affection * Excessive reaction to minor events( over act) * Egocentricity * Seductiveness * manipulative Ref. Kaplon and Sadock, synopsis of psychiatry, 11 th edition, 742